A mother noticed mucopurulent discharge from the right puncta of her 3 month old child. There is h/o watering from his right eye, t/t is-
1. Syringing
2. Probing with syringing
3. Sac massage with topical antibiotics
4. Dacryocysto- rhinostomy

Correct answer: 3. Sac massage with topical antibiotics

Explanation: Spontaneous recanalization of obstructed nosolacrimal duct occurs during first 6-8 weeks and sometimes after 6-12 months in 90% of infants. Therefore upto 9-12 months only massage and antibiotic drops are indicated. After the age of 12 months high pressure syringing is indicated.